Which of the following act through tyrosine kinase receptor
1. Insulin
2. Glucagon
3. GH
4. FSH

Correct answer: 1. Insulin

Explanation: Ans. (a) Insulin(Ref: Ganong, 25th ed/p.52)Tyrosine kinase receptors serves as receptors for,#Insulin#Insulin like growth factors (IGF -1)#Epidermal growth factor (EGF)#Nerve growth factor#Platelet-derived growth factor#Fibroblast growth factor